Most common site of lymphangioma is -(
1. Axilla
2. Head and Neck
3. Groin
4. Heart

Correct answer: 2. Head and Neck

Explanation: Ans. is 'b' i.e., Head and NeckLymphangioma o Lymphangiomas are uncommon, hamartomatous, congenital malformations of the lymphatic system that involves skin and subcutaneous tissues.o There is benign proliferation of lymph vessels, forming a yellowish tumor on the skin, composed of mass of dilated lymph vessels.Based on depth and these malformations are divided into:1. Superficial ---> Lymphangioma circumscriptun (simple or capillary lymphangioma)Deep:(a) Cavernous lymphangioma(b) Cystic hygromaLymphangiomas can occur anywhere in the skin and mucous membrane. The most common sites are head and neck. Other sites are proximal extremities, the buttocks, and the trunk.o Deeper lesions (cystic hygroma) usually occur in area of loose areolar tissue, typically the neck, the axilla and the groin.